Intellectual disability is not seen in-
1. Downs syndrome
2. Cretinism
3. Hypopituitarism
4. Birth asphyxia

Correct answer: 3. Hypopituitarism

Explanation: Ans. is `c' i.e., Hypopituitrism